What is the effect of doubling the diameter of a cantilever spring?
1. Strength increases by 4 times, Springiness increases by 8 times
2. Strength decreases by 4 times, Springiness decreases by 8 times
3. Strength decreases by 8 times, Springiness increases by 16 times
4. Strength increases by 8 times, Springiness decreases by 16 times

Correct answer: 4. Strength increases by 8 times, Springiness decreases by 16 times